Cyoprecipitate is rich in factor -
1. II
2. V
3. VII
4. VIII

Correct answer: 4. VIII